Crush syndrome is managed by
1. 20% Dextrose
2. Hydrocortisone
3. Maintaining high urine output
4. Acidification of urine

Correct answer: 3. Maintaining high urine output

Explanation: C i.e. Maintaining high Crush Syndrome It is seen when a limb is compressed for many hours in a vehicle, rubble or pneumatic antishock garment, resulting in massive crushing of musclesQ and release of large amounts of myohaemoglobinQ